Minimum score of Glasgow comma scale-
1. 3
2. l
3. 0
4. 2

Correct answer: 1. 3

Explanation: Ans. is 'a' i.e., 3 o Glasgon coma scale scores range from 3 (the lowest) to 15 (Normal).